The 'morning after pill' contains which of the following?
1. Estradiol
2. Levonorgestrel
3. Estrone
4. PGE

Correct answer: 2. Levonorgestrel

Explanation: Emergency contraceptive pills (ECPs) are also known as 'the morning after pill', 'interception', 'postcoital contraception' or 'vacation pill', contains levonorgesterol (LNG). Levonorgesterol 0.75 mg in two doses 12 hours apart is specifically developed for emergency contraception. Levonorgesterol is the preferred method over Yuzpe regimen due to its higher efficacy and lesser side effects. Ref: Current Obstetrics & Gynecology By Gita Ganguly Mukherjee, Sudip Chakravarty, Bhaskar Pal, et al, Jaypee Brothers, Medical Publishers, 2007, Page 366 ; Shaw, 13th ed, Page 233